Pearl index of 0 can be seen in which method of contraception
1. Male condom
2. Rythm method
3. Coitus interruptus
4. Abstinence

Correct answer: 4. Abstinence